Which of the following structure is preserved in Type I Modified radical neck dissection?
1. Sternocleidomastoid
2. Spinal accessory nerve
3. Level IX lymph node
4. Internal juglar Nein

Correct answer: 2. Spinal accessory nerve

Explanation: Modified radical neck dissection involves removal of I - V lymph nodes & 
In type 1: Spinal accessory nerve is preserved.
In type 2: Internal juglar vein is preserved.
In type 3: Sternocleidomastoid.